Which of the following β-blocker is safe in asthma
1. Celiprolol
2. Timolol
3. Carveidilol
4. Labetalol

Correct answer: 1. Celiprolol

Explanation: Celiprolol is a selective β1 blocker (cardioselective), has no action on β2 receptors present on bronchial smooth muscle. Hence it is safe in asthma.